A 64-year-old woman presents with fatigue, and musculoskeletal symptoms. She reports of no headache, jaw discomfort, or visual disturbance. Her physical examination is normal, and laboratory testing reveals an elevated ESR of 75 mm/h. She is started on prednisone 10 mg/day and notices a dramatic improvement in her symptoms after 1 week. Which of the following are the most typical symptoms of this disorder?
1. heliotrope rash
2. proximal muscle weakness
3. painful peripheral neuropathies
4. stiffness and pain of proximal muscles

Correct answer: 4. stiffness and pain of proximal muscles

Explanation: This patient has PMR. It is characterized by stiffness, aching, and pain in proximal muscle groups in the neck, shoulders, back, hips, and thighs. It is considerably more common than temporal arteritis. Both diseases are almost exclusively seen in the over 50 age group.